Respiratory acidosis is characterized by -
1. Raised PCO2 and elevated pH
2. Decreased plasma HCO3 and decreased PCO2
3. Increased PCO2 and decreased pH
4. Decreased pH and decreased PCO2

Correct answer: 3. Increased PCO2 and decreased pH